A patient presented in emergency with tachycardia, hyperthermia, bronchial dilatation and constipation. The person is likely to be suffering from overdose of:
1. Atropine
2. Organophosphorus compound
3. Mushroom
4. Paracetamol

Correct answer: 1. Atropine

Explanation: Ans. (A) Atropine(Ref: Modi's Medical jurisprudence and Toxicology. 23rd, 2005/92, 403, 429-430, Goodman and Gilman 12/e p234-235)These are the characteristic features of anti-cholinergic overdose.